One of the following is a congenital cyst :
1. Inclusion cys
2. Ovarian cyst
3. Gartner's cyst
4. None

Correct answer: 3. Gartner's cyst

Explanation: Gartner's cyst